All the following form part of occupational health history except –
1. History of previous occupation
2. Exposure to dust
3. Childhood immunizations
4. Safety

Correct answer: 3. Childhood immunizations

Explanation: Pre-placement examination 

Pre-placement examination refers to examination of a person before giving a job.
The purpose of preplacement examination is to place the right man in the right job, so that the warker can perform his duties efficiently without detriment to his health.
It is done at the time of employment and includes -


History → Medical, family, occupational and social
Thorough physical examination
Battery of biological and radiological examinations → Chest X-ray, ECG, vision testing, urine and blood examination
Special tests for endemic disease